Which of the following is sex cord stromal tumor?
1. Yolk sac tumor
2. Seminoma
3. Leydig cell tumor
4. Choriocarcinoma

Correct answer: 3. Leydig cell tumor

Explanation: Sertoli cell tumor and Leydig cell tumor are sex cord stromal tumors.